1,25-dihydroxycholecalciferol is secreted by:
1. Adrenal cortex
2. Liver
3. Proximal tubules of kidney
4. Collecting ducts of kidney

Correct answer: 3. Proximal tubules of kidney

Explanation: It is the most active form of vitamin D(1,25-dihydroxycholecalciferol) / (calcitriol) When UV rays fall on the skin, 7-dehydrocholesterol in the skin is converted into cholecalciferol. It goes to the liver, a hydroxyl group is attached to it, 25-(OH) cholecalciferol is formed. It then travels to kidneys. In the cells of the PCT, one more hydroxyl group is attached, to form the active metabolite 1,25-dihydroxycholecalciferol. Vit. D is considered a steroid hormone. It acts on the intestines, kidneys, and bone. Its chief function is to increase Ca2+ and PO42- in the ECF.